With respect to ticlopidine, clopidogrei:
1. Is more likely to cause formation of antiplatelet antibodies
2. 15 less likely to cause neutropenia
3. Is more likely to cause severe bleeding
4. Has a greater antiplatelet effect

Correct answer: 2. 15 less likely to cause neutropenia

Explanation: (Ref: KDT 6/e p610) Ticlopidine and clopidogrel are ADP antagonists and are used as antiplatelet drugs. Antiplatelet action, chances of bleeding and formation of antibodies is similar with these two agents. Clopidogrel is better tolerated because it is less likely to cause severe neutropenia and thrombocy topenia as compared to ticlopidine.